Development of Lymphoma in Sjogren's syndrome is suggested by all of the following except-
1. Persistent parotid gland enlargement
2. Cyogtobilinemia
3. Leukopenia
4. High C4compement levels

Correct answer: 4. High C4compement levels

Explanation: Ans. is 'd' i.e., High C4 complement levels o Lymphoa is a well-known complication of Sjogren s syndrome : Most lymphomas are extra-nodal, low grade marginal B cell lymphomas.o Development of Lymphoma in Sjogren's syndrome is suggested by low C4 complement levels.Lymphoma in Sjogren's syndromeThe development of Lymphomas in patients with Sjogren syndrome is suggested by :-o Persistent parotid gland enlargemento Purpurao Leukopeniao Cryoglobulinemiao Low C4 complement levels